Krukenberg tumour is most commonly from:
1. Lung
2. Breast
3. Stomach
4. Colon

Correct answer: 3. Stomach

Explanation: Ans: c (Stomach) Ref:Shaw, 13th ed, p. 401Krukenberg ovarian tumoursPrimary sites - Stomach (70%),Breast (6%),Colon (15%)Involvement of ovary by - Retrograde lymphaticsAlways bilateral with smooth surface.Maintaining the shape of ovaryNo tendency of adhesion (i.e. capsule remain intact).Histology: Signet ring cellsBRIDGE:signet ring cells are seen in Krukenberg tumour but sideroblasts are seen in v myelodysplatic syndrome.